Among the given conditions the least infectious type of TB is seen in which of the following associations?
1. Cavitary pulmonary disease
2. Laryngeal TB
3. Sputum with 1,00,000 AFB/ml
4. HIV patients with TB

Correct answer: 4. HIV patients with TB

Explanation: The most infectious patients have cavitary pulmonary disease or, much less commonly, laryngeal TB and produce sputum containing as many as 105-107 AFB/mL. Persons with both HIV infection and TB are less likely to have cavitations, they may be less infectious than persons without HIV co-infection. Reference: Harrisons Principles of Internal Medicine, 18th Edition, Page 1342